On electron microscope amyloid characteristically exhibit
1. Beta pleated sheat
2. Hyaline globules
3. 7.5-10nm fibrils
4. 20-25nm fibrils

Correct answer: 3. 7.5-10nm fibrils

Explanation: Ref Robbins 6/e 2598/e p24909/e p257 Remember beta pleated structure of amyloid is seen on X Ray crystallography where as it is seen as no branching fibrils of 7.5-10 nm diameter and infinite lenght on electron microscope